Chlamydia causes all except:
1. Urethritis
2. LGV
3. Trachoma
4. Typical pneumoniae

Correct answer: 4. Typical pneumoniae

Explanation: Typical pneumoniae